Non acidic, nonionic protein which helps in enamel mineralization
1. Tuftelin
2. Sheathlin
3. Enamelin
4. Amelogenin

Correct answer: 4. Amelogenin